Diuretics of choice for acute pulmonary edema ?
1. Loop diuretics
2. Thiazides
3. Spironolactone
4. Mannitol

Correct answer: 1. Loop diuretics

Explanation: Ans. is 'a' i.e., Loop diuretics